A patient in the emergency room with a road traffic accident has retroperitoneal bleed. Trauma to which of the following structures is most likely the cause of the bleed
1. Liver
2. Stomach
3. Jejunum
4. Pancreas

Correct answer: 4. Pancreas

Explanation: The pancreas is the most likely cause as it is a retroperitoneal structure.All the structures listed are intraperitoneal Relationship of the viscera the peritoneum: *INTRAPERITONEAL:Stomach,jejunum,ileum,caecum,appendix,transverse colon, sigmoid colon, liver, gall bladder, spleen *RETROPERITONEAL:Esophagus(abdominal),duodenum 2 ND and 3rd part, pancreas, kidney, ureter, suprarenal glands, abdominal aorta, and it's branches ,inferior Vena cabs, and Celiac plexus *PAIALLY COVERED IN THE PERITONEUM(also considered as retroperitoneal) :Ascending colon, descending colon, rectum RETROPERITONEAL STRUCTURES retroperitoneal structures are posterior to the peritoneal sac and do not have a Mnemonic:SAD PUCKER S-suprarenal gland A-aoa D-dudenum 2nd and 3rd part P-pancreas except the tail C-celiac plexus and colon (ascending and descending colon) K -kidneys E -esophagus Reference:Grays anatomy,41st edition page number 1045 andv1046